DOC in type I lepra reaction with severe neuritis –
1. Thalidomide
2. Clafazamide
3. Dapsone
4. Systemic corticosteroid

Correct answer: 4. Systemic corticosteroid

Explanation: Corticosteroids are the treatment of choice for both type 1 and type 2 reaction.